Sister Mary Joseph nodule is most commonly seen in which of the following malignancies?
1. Ovarian cancer
2. Stomach cancer
3. Colon cancer
4. Pancreatic cancer

Correct answer: 2. Stomach cancer

Explanation: Sites for spread of gastric cancer most commonly involve the following: Supraclavicular sentinel lymph node Virchow node Periumbilical lymph nodes Sister Mary Joseph nodule Left axillary lymph node Irish node The pouch of Douglas Blumer shelf Ovary Krukenberg tumor